Type of collagen predominant in basement membrane:
1. Type I
2. Type II
3. Type III
4. Type IV

Correct answer: 4. Type IV

Explanation: In the basement membrane, polymers of laminin and collagen type IV form tightly bound networks. Ref: Robbins 8th edition Chapter 3.